Which of the following antibodies is most frequently seen in Antiphospholipid Syndrome?
1. Beta 2 microglobulin antibody
2. Anti-nuclear antibody
3. Anti-centromere antibody
4. Anti- beta 2 glycoprotein antibody

Correct answer: 4. Anti- beta 2 glycoprotein antibody

Explanation: Ans. (d) Anti- beta 2 glycoprotein antibody(Ref: Robbins 9th/pg 124; 8th/pg 123)Anti- beta 2 glycoprotein antibody is most frequently seen in Antiphospholipid Syndrome